Which of the following is a venodilator?
1. Hydralazine
2. Minoxidil
3. Nitroprusside
4. Nifedipine

Correct answer: 3. Nitroprusside

Explanation: Nifedipine is a calcium channel blocker- arteriolar dilator Minoxidil is potassium channel opener - arteriolar dilater. Hydralazine is also an aeriodilater. Nitrates are preferably venous dilators (REF.Essential of medical pharmacology KD TRIPATHI 8th Edition)